Which of the following are true about ASD?
1. Ostium primum is the most common defect
2. Children are always growth retarded
3. Surgery is electively done at 1-3 year age for large defects
4. Commonly affected by Infective endocarditis

Correct answer: 3. Surgery is electively done at 1-3 year age for large defects

Explanation: c. Surgery is electively done at 1-3 year age for large defects(Ref: Nelson's 20/e p 2190-2191)The timing for elective closure of ASD is usually after the 1st yr and before entry into school.